The surgical treatment of uterine polyp includes:
1. Removal by twisting
2. Removal by morcellement
3. Hysteroscopy
4. All of the above

Correct answer: 4. All of the above